Drugs interact with their receptor sites by forming?
1. Coardinate covalent bonds
2. Covalent bonds
3. Ionic bonds
4. Van der wall forces with basic drugs only

Correct answer: 3. Ionic bonds

Explanation: Ans. is 'c' i.e., Ionic bonds Drug interact with receptors by means of chemical bonds. o These are of three major types: i) Electrostatic (Ionic) more common ii) Covalent Hydrophobic